An 8-month old child presented with itchy, exudative lesions on the face, palms and soles. The siblings also have similar complaints. The treatment of choice is such a patient is:
1. Systemic ampicillin
2. Topical betamethasone
3. Systemic prednisolone
4. Topical permethrin

Correct answer: 4. Topical permethrin

Explanation: D i.e. Topical permethrin